The common feature of Nuclear Localization Signals is
1. They are rich in acidic amino acid residues and are located at the C-terminus of the protein
2. They are rich in basic amino acid residues and are located at the C-terminus of the protein
3. They are rich in acidic amino acid residues and may be located anywhere in the protein sequence
4. They are rich in basic amino acid residues and may be located anywhere in the protein sequence

Correct answer: 4. They are rich in basic amino acid residues and may be located anywhere in the protein sequence

Explanation: Many nuclear proteins contain NLSs that are rich in basic arginine and lysine residues, which may be located anywhere in the polypeptide chain. Reference: Harper; 30th edition